Method (s) to determine protein structure is/are
1. X-Ray Crystallography
2. NMR Spectroscopy
3. Infrared spectroscopy
4. All of these

Correct answer: 4. All of these

Explanation: X-ray crystallography (X-ray diffraction)
UV light spectroscopy and infra-red spectroscopy
Nuclear magnetic resonance (NMR) spectroscopy
Polychromatic X-ray crystallography (Laue diffraction)  
Optical rotatory dispersion
Circular dichroism
Computer-based modelling
Mass spectrometry